Which of the following factors in bile juice is responsible for preventing the precipitation of cholesterol and formation of gallstones-
1. High alkaline condition
2. High concentration of bicarbonates
3. Bile salts
4. Bile pigments

Correct answer: 3. Bile salts